The completeness of a 24-hour urine collection is best assessed by the simultaneous measurement of urinary -
1. Volume
2. Urea
3. Creatinine
4. pH

Correct answer: 3. Creatinine